Cataract brunescen results due to deposition of?
1. Urochrome
2. Copper
3. Iron
4. Silver

Correct answer: 1. Urochrome

Explanation: Ans. is 'a' i.e., Urochrome "Nuclear sclerosis also distorts color vision because of - yellow -brown urochrome pigment, which accumulates in the lens and filters out blue wavelengths of ight". -- Eye pathology Older nuclear cells lose organelles and cell membranes, with increasing density and dehydration and accumulation of yellow urochrome pigment (possible photo-oxidation product). Pathology shows homogencity of nucleus , with loss of cellular lamination and increased eosinophilia. o When advanced, it becomes brown (brunescent) or black (cataracta nigra).